Bromocriptine is agonist of ?
1. Dopamine
2. Serotonine
3. Acetylcholine
4. Epinephrine

Correct answer: 1. Dopamine

Explanation: Ans. is'a'i.e., Dopamine Ref: KDT 7/e p.2391Synthetic ergot derivative.It is a potent dopamine agonist.It has greater action on D2 receptors, while at certain dopamine sites in brain it acts as a partial agonist or antagonist of D1 receptor.